All are feature of Autistic disorder EXCEPT:
1. 75% mentally retarded
2. Usually appears by 2-3 years of age
3. Absent social smile
4. Third person hallucination

Correct answer: 4. Third person hallucination

Explanation: Ans. D i.e. Third person hallucinationAutismDifficulty in concentration and communication,Lesion in frontal and temporal lobe and cerebellum,Delayed speech and language development,Problems in forming social relationships in early childhood,Stereotyped movements,Poor speech,Lack of social interaction,